Mother to hid transmission of HIV -
1. 25%
2. 50%
3. 605
4. 75%

Correct answer: 1. 25%